Thermoactinomyces sacchari is the causative agent of-
1. Occupational asthma
2. Bagassosis
3. Byssinosis
4. Farmer's lung

Correct answer: 2. Bagassosis

Explanation: Occupational asthma is a lung disorder characterised by inhalation of substances in workplace & which can cause airways of lungs to swell narrow. Farmer's lung is hypersensitivity pneumonitis due to inhalation of dust of mouldy hay. Byssinosis is also known as brown lung disease due to inhalation of cotton particles. Ref Harrison20th edition pg 1177